Commonest tumor of lid is
1. Adenocarcinoma
2. Malignant melanoma
3. Squamous cell carcinoma
4. Basal cell carcinoma

Correct answer: 4. Basal cell carcinoma

Explanation: D i.e. Basal cell carcinoma